If a single spinal nerve is cut, the area of tactile loss is always greater than the area of loss of painful sensation, because
1. Tactile information is carried by myelinated fast conduction fiber
2. Tactile receptors adapt quickly
3. Degree of overlap of fibers carrying tactile sensation is much less
4. In the primary sensory cortex tactile sensation is represented on a larger area

Correct answer: 3. Degree of overlap of fibers carrying tactile sensation is much less

Explanation: Ans. (c) Degree of overlap of fiber carrying tactile sensation is much less(Ref: Ganong, 25th ed/p.160)The degree of overlap of fibers carrying pain is much greater than tactile sensationSo, the area of tactile loss is always greater for tactile sensation